Drug not used in CMV retinitis:
1. Acyclovir
2. Foscarnet
3. Ganciclovir
4. Cidofovir

Correct answer: 1. Acyclovir

Explanation: Ref: Goodman & Gillman's 13th ed. P 1106-7* Acyclovir's clinical use is limited to herpes viruses. Acyclovir is most active against HSV-1.* Approximately half as active against HSV-2, and a tenth as potent against VZV and EBV.* Book states: "Acyclovir is ineffective therapeutically in established CMV infections, but ganciclovir is effective for CMV prophylaxis in immunocompromised patients* EBV-related oral hairy leukoplakia may improve with acyclovir.* Drugs which can be used in treatment of CMV retinitis are cidofovir, ganciclovir, foscarnet, valaciclovir.* DOC for CMV retinitis: Ganciclovir* Fomivirsen is active against CMV strains resistant to ganciclovir, foscarnet, and cidofovir. Fomivirsen is given by intravitreal injection unresponsive to other therapies.